Selenium is a cofactor for the following enzyme?
1. Glutathione peroxidase
2. Cytochrome oxidase
3. Cytochrome reductase
4. Xanthine oxidase

Correct answer: 1. Glutathione peroxidase

Explanation: Selenium21st amino acid = Selenocysteine RDA = 50 - 100 mcg/daySelenium as a co-factorSelenium deficiencySelenium toxicityGlutathione peroxidaseDeiodinase Thioredoxin reductase Keshan's cardiomegaly Kashin-beck disease Peripheral neuropathy Garlic odor to breathDermatitis (Refer: DM Vasudevan, Textbook of Biochemistry, 7th edition, pg no: 523)